Which of the following is not a maxillary major connector:
1. Closed horseshoe major connector.
2. Continuous clasp.
3. Palatal plate.
4. None of the above.

Correct answer: 2. Continuous clasp.